During active labor cervIcal dilatation per hour in a primigravida is
1. 1.0 cm
2. 1.5 cm
3. 1-7 cm
4. 2 cm

Correct answer: 1. 1.0 cm

Explanation: In primigravida dilatation of cervix at the rate of 1cm/hr and in multigravida -1.5cm/hr.D.C.DUTTA'S TEXTBOOK OF OBSTETRICS,Pg no:130,7th edition